Which of the following conditions may necessitate
emergency tracheostomy to prevent suffocation
1. Cellulitis
2. Ludwig's angina
3. Cavernous sinus thrombosis
4. Maxillary sinusitis

Correct answer: 2. Ludwig's angina